An example of lyases is
1. Glutamine synthetase
2. Fumarase
3. Cholinesterase
4. Amylase

Correct answer: 2. Fumarase